Which of the following receptors is activated by acetylcholine and blocked by atropine.
1. Nicotinic
2. Muscarinic
3. Alpha 1 and 2
4. Beta 1 and 2

Correct answer: 2. Muscarinic